Pralidoxime acts by ?
1. Reactivating cholinesterase enzyme
2. Promoting synthesis of cholinesterase
3. Promoting synthesis of acetylcholine
4. Direct action on cholinergic receptors

Correct answer: 1. Reactivating cholinesterase enzyme

Explanation: Ans. is 'a' i.e., Reactivating cholinesterase enzyme